A shift of posture from supine to upright posture is associated with cardiovascular adjustments. Which is not true in this context
1. Rise in central venous pressure
2. Rise in HR
3. Decrease in cardiac output
4. Decrease in stroke volume

Correct answer: 1. Rise in central venous pressure